Mc. Naughten's Rule is embodied in
1. Sec 84 CrPC
2. Sec 84 IPC
3. Sec 85 CrPC
4. Sec 85 IPC

Correct answer: 2. Sec 84 IPC

Explanation: Mc Naughten's Rule is accepted in India as law of criminal responsibility & embodied in section 84 IPC. Mc Naughten's Rule (Legal test, Right or Wrong) Mc Naughten's Rule states that an accused person is not legally responsible, if it is clearly proved that at the time of committing the crime, person was suffering from such a defect of reason from abnormality of mind that he didnt know the nature & quality of act he was doing or that what he was wrong: i.e., a person is not responsible if he is not of sound mind. It is accepted in India as law of criminal responsibility & is embodied in section 84 IPC as - "nothing is an offence which is done by a person, who at the time of doing it, by reason of unsoundedness of mind is incapable of knowing the nature of act, or that he is doing what is either wrong or contrary to law. Ref: APC essentials of Forensic Medicine by Anil Aggarwal